Common ocular manifestation in Trisomy 13 is
1. Capillary hemangioma
2. Bilateral microphthalmos
3. Neurofibroma
4. Dermoid Cyst

Correct answer: 2. Bilateral microphthalmos

Explanation: B i.e. Bilateral micropthalmos Patau's syndrome (trisomy 13)Q present with microcephaly, intellectual disability and micropthalmos Q Patau's Syndrome Ocular Manifestations - Micropthalmos Q/ Anopthalmos - Anterior segment dysgenesis - Cyclopia - Corneal opacity - Cataract / congenital glaucoma - Coloboma - Persistent hyperplastic primary vitreous - Retinal dysplasia - Hypertelorism Other Features - Microcephaly/intellectual disability - Cleft lip & palate - Polydactyly - Cardiac defects - Umbilical hernia - Renal defects - Rocker bottom feet